Zileuton is:-
1. 5- Lipoxygenase inhibitor
2. Cyclooxygenase
3. Phospholipase inhibitor
4. Leukotriene receptor antagonist

Correct answer: 1. 5- Lipoxygenase inhibitor

Explanation: ZILEUTON inhibits LOX B: Cyclo oxygenase inhibitor: NSAID STEROIDS inhibit phospholipase D: Leukotriene Inhibitors MONTELEUKAST ZAFIRLEUKAST